The most common complication of dislocation of shoulder joint is:
1. Injury to brachial plexus
2. Injury to circumflex nerve
3. Rupture of supraspinatous muscle
4. Rupture of deltoid muscle

Correct answer: 2. Injury to circumflex nerve

Explanation: B i.e. Circumflex nerve